Minimum alveolar concentration (MAC) is a measure of
1. Potency of anaesthetic agent
2. Speed of induction and recovery
3. Lipid solubility of agent
4. Toxicity of agent

Correct answer: 1. Potency of anaesthetic agent

Explanation: Minimum alveolar concentration (MAC) - Measure of potencyBlood: Gas partition coefficient -Blood solubility of anaesthetic agent and determines the speed of induction & recoveryOil: Gas partition coefficient - Lipid solubility of anaesthetic agent and is related to potency of anaesthetic agent.(Refer: Morgan and Mikhail's Clinical Anaesthesiology, 5th edition, pg no. 160, 268, 510)